Most Radiosensitive tumor -
1. Brenner's tumor
2. Dysgerminoma
3. Mucinous cystadenoma
4. Teratoma

Correct answer: 2. Dysgerminoma